High output intestinal fistula is defined as output more than _______ in 24 hrs
1. 200ml
2. 300ml
3. 500ml
4. 600ml

Correct answer: 3. 500ml

Explanation: High output fistula- >500 ml in 24 hrs Intermediate output fistula - 200-500ml in 24 hrs Low output fistula - >500ml output in 24 hrs Ref: Sabiston 20th edition Pgno : 1287